A 38 week pregnant primigravida with breech presentation is found to have cord prolapse. LEAST chances of cord prolapse are seen in:
1. Frank breech
2. Complete breech
3. Footling
4. Knee

Correct answer: 1. Frank breech

Explanation: Umbilical cord compression and prolapse may be associated with breech delivery, particularly in complete (5%) and footling (15%) presentations. This is due to the inability of the presenting part to fill the maternal pelvis, either because of prematurity or poor application of the presenting part to the cervix so that the umbilical cord is allowed to prolapse below the level of the breech. Frank breech presentation offers a contoured presenting part, which is better accommodated to the maternal pelvis and is usually well applied to the cervix. The incidence of cord prolapse in frank breech is only 0.5% (the same as for cephalic presentations). Ref: Kish K., Collea J.V. (2007). Chapter 21. Malpresentation & Cord Prolapse. In A.H. DeCherney, L. Nathan (Eds), CURRENT Diagnosis & Treatment Obstetrics & Gynecology, 10e.